A patient presenting with history of diarrhoea for several years with recent onset pruritus and raised alkaline phosphatase, normal SGOT/PT and USG shows no gallstones and biliary tract abnormality, the diagnosis is
1. Hodgkin's lymphoma
2. Sclerosing cholangitis
3. Autoimmune hepatitis
4. Viral hepatitis

Correct answer: 2. Sclerosing cholangitis

Explanation: Symptoms of PSC Evidence of cholestatic liver disease - Jaundice, Pruritus and fatigue Diagnosis Asymptomatic elevation of GGT is the earliest finding, ALP and bile acids are also increased. Cholangiography - diagnoisis of PSC with evidence of diffuse multifocal strictures found in both intrahepatic and extrahepatic bile ducts Ref: Sabiston 20th edition Pgno :1508-1509